A 43-year-old 190 cm man post a flight to Chennai presents with left-sided chest discomfort and dyspnoea. On chest X-ray, there is a small area devoid of lung markings in the apex of the left lung. Diagnosis is?
1. Spontaneous pneumothorax
2. Myocardial infarction
3. Acute cor- pulmonale
4. Aortic dissection

Correct answer: 1. Spontaneous pneumothorax

Explanation: 1. 190 cm man- Marfan syndrome 2. Devoid of lung margin, absent breath sounds- Pneumothorax 3. Aortic dissection- typical interscapular severe pain 4. Acute Cor pulmonary ruled out there is no history of orthopedic implant surgery, long flight